Raised iron content is NOT found in which organ in Hemochromatosis -
1. Heart
2. Skin
3. Testis
4. Pituitary

Correct answer: 3. Testis

Explanation: In hemochromatosis, hypogonadism is caused by impairment of hypothalamic pituitary function and not due to deposition of Iron in the Testis.
Hemochromatosis

Hemochromatosis is characterized by the excessive accumulation of body iron, most of which is deposited in parenchymal organs such as liver and pancreas.
The total body content of the iron is tightly regulated, as the daily losses are matched by gastrointestinal absorption. In hereditary hemochromatosis, regulation of intestinal absorption of dietary iron is lost, leading to net iron accumulation of 0.5 to 1.0 gm/year.
It may be recalled that the total body iron pool ranges from 2-6 gm in normal adults; about 0.5 gm is stored in the liver 98% of which are hepatocytes. In hemochromatosis, the iron accumulation may exceed 50 gm, over one-third of which accumulates in the liver.
The iron accumulation is lifelong, the rate of net iron accumulation is 0.5 to 1.0 gm/year. The disease manifests itself typically after 20 gm of storage iron have accumulated. The disease first manifests itself in the fifth to sixth decades of life.
Excessive iron is directly toxic to host tissues
The clinical features of hemochromatosis are characterized principally by deposition of excess iron in the following organs in decreasing order of severity.